High risk pregnancy  are all except
1. Elderly primi
2. Short stature primi
3. Vertex presentation
4. Diabetes

Correct answer: 3. Vertex presentation

Explanation: High risk pregnancy cases include:

Elderly primi (30yrs and more)
Short statured primi (140cm and less)
Malpresentations such as breech , transverse lie etc.
Antepartum haemorrhage , threatened abortion 
Preeclampsia and eclampsia 
Anaemia
Twins , hydraminos
Previous still birth, intrauterine death, manual removal of placenta
Elderly grandmultiparas
Prolonged pregnancy  (14 days after expected date of delivery)
History of previous caesarean or instrumental delivery
Pregnancy associated with general diseases like cardiovascular diseases, kidney disease, diabetes, TB, liver disease, malaria, convulsions,  asthma, HIV, RTI , STI ect.
Treatment for infertility
Three or more spontaneous consecutive abortions